The approximate protein content of breast milk is -
1. 0.9-1.1 g/dL
2. 2.0-3.0 g/dL
3. 3.5-4.0 g/dL
4. 5.0-5.5 g/dL

Correct answer: 1. 0.9-1.1 g/dL

Explanation: Protein content in human milk is 1.1mg per 100g Ref: Park 25th edition Pgno : 692